Most characteristic side effect of adriamycin is :
1. Nephrotoxicity
2. Neurotoxicity
3. Cardiotoxicity
4. Hemorrhagic cystitis

Correct answer: 3. Cardiotoxicity